CBS in a child treatment -
1. IV Ig
2. Ventilation
3. Plasrnapharesis
4. All of above

Correct answer: 4. All of above

Explanation: Ans. is 'd' i.e., All of above Treatment of GB syndrome in children It is self limited in majority of cases. o Intravenous immunoglobulin shows good response. o Plasrnapheresis :- Removal of autoantibodies. o Assisted ventilation :- It patient develops respiratory muscle paralysis. Physiotherapy